The cause of homogenous opacity on X-ray is all except –
1. Pleural effusion
2. Diaphragmatic Hernia
3. Massive consolidation
4. Emphysema

Correct answer: 4. Emphysema

Explanation: Emphysema produces blackening (not opacity) due to increased air.
Homogeneous opacity is produced by consolidation, pleural effusion, hemothorax and diaphragmatic hernia.